Which of the following calcium channel blocker would be useful in the treatment of supra-ventricular tachycardia by suppressing AV node conduction ?
1. Amlodipine
2. Nimodipine
3. Verapamil
4. Nifedipine

Correct answer: 3. Verapamil

Explanation: Ans. is 'c' i.e., Verapamil o Amongst calcium channel blockers, verapamil has the most prominent cardiac electrophysiological action.o CCBs primarily act on SA node and AV node (slow channel - Ca+2 channel action potential) -| automaticity in SA node and decreased conduction in AV node.